Sacrotuberous ligament is pierced by
1. Perforating cutaneous nerve
2. Posterior femoral cutaneous
3. Superior gluteal nerve
4. Sciatic nerve

Correct answer: 1. Perforating cutaneous nerve

Explanation: Ans: A Perforating cutaneous nerveSacrotuberous ligament (STL) -Stabiliser of sacro-iliac joint.Connects bony pelvis to vertebral column.Structure piercing STL - Perforating cutaneous nerve.Perforating cutaneous nerve:Cutaneous nerve that arises from the 52 and 53 nerve roots of the sacral plexus.Supplies lower medial part of buttock.